Most common cause of bleeding for massive hemothorax in blunt trauma to chest is from
1. Intercostal vessels
2. Bronchial vessels
3. Pulmonary vessels
4. Internal mammary artery

Correct answer: 1. Intercostal vessels

Explanation: Answer- A. Intercostal vesselsThe most common cause of massive haemothorax in blunt injury to chest is continuing bleeding from torn intercostal vexels or occasionallyfrom the internal mammary artety.